Drug causing ocular hypotension with apnea in an infant is:
1. Latanoprost
2. Brimonidine
3. Timolol
4. Acetazolamide

Correct answer: 2. Brimonidine

Explanation: Ans. (B) Brimonidine(Ref: Goodman and Caiman 13th/e p1259)Brimonidine causes CNS depression in newborn babies and can result in apnea, so it is contraindicated in such patients.Ocular adverse effects of anti-glaucoma drugsDrugAdverse EffectMiotics (Pilocarpine)CataractStenosis of nasolacrimal systemPGF2 analogs (Latanoprost)Heterochromia iridisGrowth of eyelashesCystoid Macular EdemaApraclonidineLid retractionBrimonidineCNS depression and apnea in newbornAdrenalineConjunctival pigmentation